Which of the following is the most common cause of Meningoencephalitis in children
1. Mumps
2. Arbovirus
3. HSV
4. Enterovirus

Correct answer: 4. Enterovirus

Explanation: Most common cause of meningoencephalitis in children is enterovirus. Meningoencephalitis is mainly caused by enteroviruses, varicella-zoster viruses, herpes simplex viruses, or measles viruses. Reference: GHAI Essential pediatrics, 8th edition